Increase is Pauwel's angle indicate -
1. Good prognosis
2. Impaction
3. More chances of displacement
4. Trabecular alignment disrupted

Correct answer: 3. More chances of displacement

Explanation: *The more the angle, the more unstable is the fracture, and worse the prognosis. Ref: Maheshwari 9th/e p.132,133& 4th/e p.129